Which of the following plasminogen activator (fibrinolytic) can be given as bolus dose in patients with acute myocardial infarction :
1. Urokinase
2. Alteplase
3. Reteplase
4. None

Correct answer: 3. Reteplase